"La belle indifference" is seen in
1. Somatization disorder
2. Conversion disorder
3. Post traumatic stress disorder
4. Premature ejaculation

Correct answer: 2. Conversion disorder

Explanation: "La belle indifference" is seen in conversion disorder, where the patient has feeling of indiference towards his symptoms.
Example: If a person suddenly experiences loss of vision he is expected to get  extremely concerned about it. But patient of conversion disorder seems to be unconcerened towards his symptoms.